Which of the following is a highly emetogenic chemotherapy drug :
1. 5–Fluorouracil
2. Paclitaxel
3. Vincristine
4. Cisplatin

Correct answer: 4. Cisplatin